Tobey ayer test is seen in -
1. Sigmoid sinus thrombosis
2. Saggital sinus thrombosis
3. Uncal herniation
4. Serous otitis media

Correct answer: 1. Sigmoid sinus thrombosis

Explanation: Ans. is 'a' i.e., Sigmoid sinus thrombosis * Lateral or sigmoid sinus thrombophlebitis arises from inflammation in the adjacent mastoid. It may occur as a complication of: -i) Acute coalescent mastoiditisii) CSOM and cholesteatomaClinical features* Hectic Picket-Fence type of fever with rigor.* Headache, Progressive anemia and emaciation.* Griesinger's sign: - odema over the posterior part of mastoid due to thrombosis of mastoid emissary veins.* Papilloedema* Tobey-Ayer test:- Compression of vein on the thrombosed side produces no effect while compression of vein on healthy side produces rapid rise in CSF pressure which will be equal to bilateral compression of jugular veins.* Crowe-Beck testPressure on jugular vein of healthy side produces engorgement of retinal veins. Pressure on affected side does not produce such change.* Tenderness along jugular vein